True about macule:
1. Flat lesion > 2cm
2. Flat lesion < 2 cm
3. Elevated lesion > 2cm
4. Elevated lesion < 2cm

Correct answer: 2. Flat lesion < 2 cm

Explanation: Ans. (b) Flat lesion < 2 cmRef: Harrison's 19th ed./ 319DESCRIPTION OF PRIMARY SKIN LESIONSMacule* A flat, colored lesion, <2 cm in diameter, not raised above the surface of the surrounding skin. A "freckle" or ephelid, is a prototypical pigmented macule.Patch* A large (>2 cm) flat lesion with a color different from the surrounding skin. This differs from a macule only in size.Papule* A small, solid lesion, <0.5 cm in diameter, raised above the surface of the surrounding skin and thus palpable (e.g. a closed comedone, or white-head in acne).Nodule* A larger (0.5-5.0 cm), firm lesion raised above the surface of the surrounding skin. This differs from a papule only in size (e.g. a large dermal nevomelanocytic nevus).Tumor* A solid, raised growth >5cm in diameter.Plaque* A large (>1 cm), flat-topped, raised lesion; edges may either be distinct (e.g,. psoriasis) or gradually blend with skin (e.g. in eczematous dermatitis).Vesicle* A small, fluid lesion, <0.5 cm in diameter, raised above the pane of surrounding skin. Fluid is often visible, and the lesions are translucent (e.g. vesicles in allergic contact dermatitis caused by Toxicodendron ).Pustule* A vesicle filled with leukocytes. Note: The presence of pustules does not necessarily signify the existence of an infection.Bulla* A fluid-filled raised often translucent lesion >0.5cm in diameter.Wheal* A raised erythematous, edematous papule of plaque, usually representing short-lived vasodilatation and vasopermeability.Telangiectasia* A dilated, superficial blood vessel.